A patient on nitroprusside therapy developed cyanide toxicity. Sodium nitrite was administered i.v. to combat this poisoning. Beneficial effect of sodiumnitrite in this case is dependent on:
1. Direct chelation of cyanide with sodium nitrite
2. Vasodilatation caused by sodium nitrite
3. Conversion of hemoglobin to methemoglobin by sodium nitrite
4. Facilitation of cyanocobalamin formation by sodium nitrite

Correct answer: 3. Conversion of hemoglobin to methemoglobin by sodium nitrite

Explanation: (Ref: KDT 6/e p527) Cyanide has very high affinity for the enzymes of respiratory chain particularly cytochrome oxidase. Methemoglobin possesses even higher affinity for cyanides. It can free the enzymes due to competitive inhibition for cyanide. Nitrates act by reducing hemoglobin to mithenoglobin, which removes cyanide from the enzymes.